True about HCG:
1. Produced by cytotrophoblast
2. Prevent involution of corpus luteum
3. Value reaches maximum level at 20 week of pregnancy
4. Its secretion starts after 2 day of ovulation

Correct answer: 2. Prevent involution of corpus luteum

Explanation: Ans. B i.e. Prevent involution of corpus luteum Beta-HCG HCG is secreted by: Synctiotrophoblasts Structurally HCG has: 2 subunits, It is a glycoprotein